Nitroglycerine causes all except:
1. Hypotension and bradycardia
2. Methemoglobinemia
3. Hypotension and tachycardia
4. Vasodilation

Correct answer: 1. Hypotension and bradycardia

Explanation: Ans. (A) Hypotension and bradycardia(Ref: Katzung 11/e p265; KDT 8th/e p587)Nitrates are most commonly used antianginal drugs. These act by delivering nitric oxide in the blood vessels leading to vasodilation. Resulting hypotension lead to reflex tachycardia. It can cause methemoglobinemia as an adverse effect.